Vasoconstrictor anong these ?
1. NO
2. PGI2
3. Angiotensin-II
4. ANP

Correct answer: 3. Angiotensin-II

Explanation: Ans. is 'c' i.e., Angiotensin-IIImpoant chemical regulator of CVS are :Vasoconstrictors : Noradrenaline, Adrenaline, ADH (vasopressin), angiotension II, Endothelins, PGF2, thromboxane A2.Vasodilators : Kinins (Bradykinin, lysyl-bradykinin), PGE,, PGL (prostacyclin), VIP, ANP, Nitric oxide (NO)